IL1 antagonist is -
1. Anakinra
2. Abatacept
3. Adalimumab
4. Leflunomide

Correct answer: 1. Anakinra

Explanation: Ans. is 'a' i.e., Anakinra Drugs used for Rheumatoid arthritisDisease modifying antirheumatic drugs (DMARDs)Biologic response modifier (BRMs)Adjuvant drugs1. Immunosuppresants - Methotrexate, azathioprine, cyclosporine2. Sulfasalazine3. Choloroquine or hydroxychloroquine4. Leflunomide5. Gold sod. thiomalate, Auranofin6. d - Penicillamineo TNF a - inhibitors Etanercept, Infliximab, Adalimumabo IL-1 antagonist Anakinrao CorticosteroidsNote- Other immunosuppressants like cyclosporine, chlorambucil, cyclophosphomide are reserved for cases not responding to other DMARDs.